Wood's lamp light is used in the diagnosis of:
1. Tinea capitis
2. Candida albicans
3. Histoplasma
4. Cryptococcos

Correct answer: 1. Tinea capitis

Explanation: Ans. is 'a' ie Tinea Capitis Tinea capitis is ringworm infection of the scalp mainly due to M. Canis.Under Wood's lamp light the infected areas give a light green fluorescence.Wood's lamp is used in the evaluation of certain other skin disorders as listed below -ConditionColour* Tuberous Sclerosis-Blue white* Vitiligo-Totally white* Erythrasma-Coral red or pink* Pseudomonas inf-Greenish white or pale blue* Porphyria cutanea tarda-Pinkish red (Urine)* Tinea versicolor-Golden yellow, totally white